Which of the following is true regarding a phantom limb -
1. Occurs in leprosy
2. Follow amputation
3. Follow a psychiatric illness
4. After filariasis

Correct answer: 2. Follow amputation

Explanation: 'Phantom limb' is a term used to describe the feeling that the limb is still present after amputation.